True about Rheumatic fever –
1. Chorea is aggravated during pregnancy
2. Chorea & arthritis co–existing
3. Subcutaneous nodules are tender
4. Erythema multiforme seen

Correct answer: 1. Chorea is aggravated during pregnancy

Explanation: Sydneham's chorea 

The characteristic picture of chorea is that it often occur in isolation, either unaccompanied by other major manifestations of RF or after a latent period of several months, at a time when all other manifestations of RF have subsided.
Rapid purposeless involuntary movements most noticeable in extremities and face.
Movements disappear during sleep.
Emotional liability is characteristic.
Most patients recover in 6 months.
Sex hormones (estrogen) or pregnancy can cause recurrences.

About option 'd'
Erythema marginatum (not erythema multiforme) is seen in RF.
Erythema marginatum 

Rash present on the trunk and proximal parts of the extremities.
Face is spared.
Macules or papules that extend outwards while the skin in centre returns to normal.
Never pruritic, never indurated.
Rash is evanescent migrating from place to place.
No residual scarring.